Nucleus accumbens is related to which of the following?
1. Basal ganglia
2. Brain stem
3. Thalamus
4. Cerebellum

Correct answer: 1. Basal ganglia

Explanation: Ans. a (Basal ganglia). (Ref. Ganong, Physiology 21st ed., 265)NUCLEUS ACCUMBENS# Nucleus accumbens is located at the base of the striatum, and is a part of basal ganglia.# Addiction is associated with the reward system, particularly with nucleus accumbens.# The medial frontal cortex, the hippocampus, and the amygdala are concerned with memory, and they all project to the nucleus accumbens.# Drugs that block the postsynaptic D3 receptors reduce the rate of self-stimulation and these receptors are mainly located at nucleus accumbens.